Chorda tympani is a part of ?
1. Middle ear
2. Inner ear
3. External auditory canal
4. None of the above

Correct answer: 1. Middle ear

Explanation: Ans. is 'a' i.e., Middle ear Contents of middle earContents of middle ear (tympanic cavity) are :?Ear ossicles Malleus, incus, stapesMuscles -Tensor tympani, stapediusChorda tympaniTympanic plexus